Victim was strangled with elbow around neck. It is called as:
1. Garrotting
2. Mugging
3. Bansadola
4. Burking

Correct answer: 2. Mugging

Explanation: Ans. Mugging